Tooth mobility is NOT reversible when there is
1. Inflammation in periodontium
2. Trauma from occlusion
3. Loss of alveolar bone
4. Faulty tooth brushing technique

Correct answer: 3. Loss of alveolar bone